The processing of short-term memory to long-term memory is done in
1. Prefrontal cortex
2. Hippocampus
3. Neocortex
4. Amygdala

Correct answer: 2. Hippocampus

Explanation: Short term memory which lasts seconds to hours during which processing in the hippocampus and elsewhere lays down long-term changes in synaptic length. Ref: Ganong's review of medical physiology;23rd edition; pg:290